Fibrinoid necrosis is seen in all EXCEPT-
1. Polyarteritis nodosa
2. SLE
3. HBV
4. Sarcoidosis

Correct answer: 4. Sarcoidosis

Explanation: Ans. is 'd' i.e., Sarcoidosis Fibrinoid necrosis o Fibrinoid necrosis is special form of necrosis usually seen in immune reactions involving blood vessels, o This pattern of necrosis typically occurs when complexes of antigen and antibodies are deposited in the walls of arteries. o Deposits of these ''immune complexes', together with fibrin that has leaked out of vessels, result in a bright pink and amorphous appearance in H & E stains, called "fibrinoid" (fibrin-like) by pathologists, o It is seen in Immune complex vasculitis Malignant hypertension. o Deposition of immune complexes, together with fibrin, results in bright pink and amorphous appearance in H & E stain, called fibrinoid (fibrin-like). o Diseases with fibrinoid necrosis: # Malignant hypertension # SLE # PAN # SABE # Acute rheumatic fever (Aschoff's nodule) # HBV # Rheumatoid arthritis # Near peptic ulcer # Henoch-schonlein purpura # Malignancy